Structures at the transpyloric plane include all EXCEPT
1. Fundus of gall bladder
2. Termination of portal vein
3. Hilum of kidney
4. Pylorus of stomach

Correct answer: 2. Termination of portal vein

Explanation: The transpyloric plane, also known as Addison's plane, is an imaginary axial plane Located midway between the jugular notch and superior border of pubic symphysis, at approximately the level of L1 vertebral body.